Zinc is not required for:
1. Embryonic development
2. Coagulation pathway
3. DNA synthesis
4. Spermatogenesis

Correct answer: 2. Coagulation pathway

Explanation: Ans. B: Coagulation Pathway Severe maternal zinc deficiency has been associated with congenital malformations or spontaneous abortions Zinc deficiency has been reported to result in sexual infantilism (zinc is required for proper reproduction) Zinc is required for wound healing. Zinc enhances cell growth and division. Zinc Zinc is found in nearly 100 specific enzymes, serves as structural ions in transcription factors and is stored and transferred in metallothioneins. It is "typically the second most abundant transition metal in organisms" after iron and it is the only metal which appears in all enzyme classes. In proteins, Zn ions are often coordinated to the amino acid side chains of aspartic acid, glutamic acid, cysteine and histidine. There are 2-4 grams of zinc distributed throughout the human body. Most zinc is in the brain, muscle, bones, kidney, and liver, with the highest concentrations in the prostate and parts of the eye. Semen is particularly rich in zinc, which is a key factor in prostate gland function and reproductive organ growth. In humans, zinc plays "ubiquitous biological roles". It interacts with "a wide range of organic ligands", and has roles in the metabolism of RNA and DNA, signal transduction, and gene expression. It also regulates apoptosis. In the brain, zinc is stored in specific synaptic vesicles by glutamatergic neurons and can "modulate brain excitability". It plays a key role in synaptic plasticity and so in learning. However it has been called "the brain's dark horse" since it also can be a neurotoxin, suggesting zinc homeostasis plays a critical role in normal functioning of the brain and central nervous system. Zinc is an efficient Lewis acid, making it a useful catalytic agent in hydroxylation and other enzymatic reactions. The metal also has a flexible coordination geometry, which allows proteins using it to rapidly shift conformations to perform biological reactions. Two examples of zinc-containing enzymes are carbonic anhydrase and carboxypeptidase, which are vital to the processes of carbon dioxide (CO2) regulation and digestion of proteins, respectively.